True about triamterene is A/E -
1. Saluretic effect is greater than thiazide
2. Triamterence is often combined with thiazide
3. Action is just like amiloride
4. It is a K+ sparing diuretic

Correct answer: 1. Saluretic effect is greater than thiazide

Explanation: Ans. is 'a' i.e., Saluretic effect is greater than thiazide